In women having PCOD with irregular menstrual cycles, combined oral contraceptive pills
1. Increase sex hormone binding globulin
2. Cause endometrial hyperplasia
3. Increases lutenizing hormone
4. Increase insulin

Correct answer: 1. Increase sex hormone binding globulin

Explanation: In combined OCPS, estrogen component increases levels of SHBG, which binds free androgen.